What constitutes malpighian layer of skin?
1. Corneum lucidum
2. Corneum spinosum
3. Spinosum and basale
4. Basale granulosum

Correct answer: 3. Spinosum and basale

Explanation: Ref. Rook's Textbook of Dermatology, Pg 35
 
Histology of skin

Basal layer:

Mitotically active, produces other keratinocytes
Contains low molecular weight keratin
Separated from dermis by continuous basal membrane; keratinocytes are attached to this membrane by hemidesmosomes
Also contains melanocytes



 

Squamous layer (stratum spinosum):

Also called prickle or malpighian layer
Has several layers of cells, larger than basal layer, which become flat and eosinophilic as they approach the surface due to an increase in keratin and reduction in ribosomes
May have clear vacuolated cytoplasm
Cells are attached to each other by fine spiny bridges with central dot-like desmosomes (Bizzozero’s nodule)
Loss of spiny bridges causes acantholysis



 

Granular layer (stratum granulosum):

1 - 3 layers of flattened cells with intensely basophilic keratohyaline granules, which contain precursors of filaggrin protein, which causes aggregation of keratin filaments
Malphigian layer includes – spinosum and granulosum



 

Stratum lucidum:

Present only in soles and palms, between granular and cornified layer
Homogenous eosinophilic zone



 

Cornified layer (stratum corneum):

Also called horny layer
Basket weave pattern of multiple layers of polyhedral cells without nuclei
Region is thicker and more compact in acral region (peripheral body-limbs, fingers, ears)



 

Rete ridges:

Undulating forms of epidermis and dermal papillae at dermoepidermal junction - flattens with aging